Wear and tear pigment in the body refers to-
1. Lipochrome
2. Melanin
3. Anthracotic pigment
4. Haemosiderin

Correct answer: 1. Lipochrome

Explanation: Ans. is 'a' i.e., Lipochrone